The following marker is used to assess the monoclonality in T-cells -
1. Kappa and Lambda chain
2. TCR gene rearrangement
3. CD
4. CD34

Correct answer: 2. TCR gene rearrangement

Explanation: Molecular analysis of the rearrangement in T cell population can distinguish polyclonal lymphocyte proliferations from monoclonal expansions. Reference :Robbins basic pathology 9th edition pg no 100: